Recommended fluoride levels in the water should be
1. <2 ppm
2. <1 ppm
3. <1 g/litre
4. <2 g/litre

Correct answer: 2. <1 ppm